Level III neck nodes are
1. In the sub-mental triangle
2. In the posterior triangle
3. In the midline from hyoid to suprasternal notch
4. around the middle 1/3rd of internal jugular vein

Correct answer: 4. around the middle 1/3rd of internal jugular vein